Rectal examination should not be done -
1. Anal fissure
2. Fistual in ano
3. Prolapsed piles with bleeding
4. Anal stenosis

Correct answer: 1. Anal fissure